Fever, clubbing and Osler's nodes occur in:
1. Typhoid fever
2. Rheumatic fever
3. Infective endocarditis
4. Leptospirosis

Correct answer: 3. Infective endocarditis